Which of the following childhood tumor is used N-myc gene amplification for its prognosis?
1. Neuroblastoma
2. Retinoblastoma
3. William's tumor
4. Nephroblastoma

Correct answer: 1. Neuroblastoma

Explanation: Neuroblastoma is the third most common pediatric malignancy and the peak incidence is 2 years of age. Neuroblastomas arise from the neural crest cells and it originates most frequently in the adrenal glands, posterior mediastinum, neck, or pelvis but can arise in any sympathetic ganglion. The clinical presentation depends on the site of the primary and the presence of metastases. The presence of hyperdiploid tumor DNA is associated with a favorable prognosis, whereas N-myc amplification is associated with a poor prognosis regardless of patient age. Ref: Hackam D.J., Grikscheit T.C., Wang K.S., Newman K.D., Ford H.R. (2010). Chapter 39. Pediatric Surgery. In F.C. Brunicardi, D.K. Andersen, T.R. Billiar, D.L. Dunn, J.G. Hunter, J.B. Matthews, R.E. Pollock (Eds), Schwartz's Principles of Surgery, 9e.